Post mortem caloricity is seen with -
1. Arsenic
2. Lead
3. Datura
4. Strychnine

Correct answer: 4. Strychnine

Explanation: Ans. is 'd' i.e., Stry chnine Post mortem caloricity:o The temperature of body remains raised for first two hours or so after death.o It is seen with:WTten the regulation of heat production has been severely disturbed before death as in sunstroke & some nervous disordersWhen there has been a great increase in heat production in the muscles due to convulsions e.g. tetanus, strychnineWhen there is excessive bacterial activity eg septicaemia, cholera & other fevers.